The virus with smallest genome is ?
1. Reovirus
2. Parvovirus
3. Picornavirus
4. HIV

Correct answer: 2. Parvovirus

Explanation: Ans. is 'b' i.e., Parvovirus . Smallest genome ----> Parvovirus . Largest genome --> Poxvirus